One of the following is not indicated for arterial leg ulcer -
1. Debridement
2. Elevation of limb
3. Head end of bed is raised
4. Low dose aspirin

Correct answer: 2. Elevation of limb

Explanation: Because gravity aids the delivery of arterial blood, classically, the patient with rest pain can obtain relief by simply hanging the leg over the side of the bed.
• Arterial insufficiency ulcers ischemic ulcers are mostly located on the lateral surface of the ankle or the distal digits.
• Most common on distal ends of limbs.
Etiology
• Caused by lack of blood flow to the capillary beds of the lower extremities.
• Most often endothelial dysfunction is causative factor in diabetic microangiopathy and macroangiopathy
Characteristic Features
• Punched-out appearance
• Intensely painful
• Pulses are not palpable
• Associated skin changes (thin shiny skin, absence of hair, brittle nails)
Diagnosis
• The lesion can be easily identified clinically.
• Arterial doppler and pulse volume recordings for baseline assessment of blood flow.
• Radiographs may be necessary to rule outosteomyelitis.
Treatment
• Vascular surgery to revascularize the area.
• In infection: Antibiotics + Debridement